False about defence attitude
1. Contraction of paraspinal muscles causes opisthotonus
2. Also called as fencing attitude
3. Occurs only in antemortem burns
4. Occurs due to coagulation of proteins

Correct answer: 3. Occurs only in antemortem burns

Explanation: DEFENCE ATTITUDE (PUGLISTIC ATTITUDE) IS PRESENT IN BOTH ANTEMORTEM AND POSTMORTEM FINDINGS. Pugilistic Attitude (boxing, fencing or defence attitude): This stiffening is due to the coagulation of proteins of the muscles. Contraction of paraspinal muscles causes opisthotonus This is one of the condition simulating rigor mortis It does not tells anything about the fact that whether the victim was alive or dead at the time of burning . present in both antemortem as well as postmortem burns.